Which disease is transmitted by all the components of blood-
1. Malaria
2. Syphilis
3. Toxoplasma
4. H. pylori

Correct answer: 1. Malaria

Explanation: Ans. is 'a' i.e., Malaria o All components, including RBCs, WBCs, platelet concentrates, granulocyte concentrates, fresh plasma and cryoprecipitate can transmit malaria.